A 25-year old athlete has an ejection fraction of 0.50 and an end-systolic volume of 50 mL. What is his end-diastolic volume?
1. 75 mL
2. 100 mL
3. 125 mL
4. 150 mL

Correct answer: 2. 100 mL

Explanation: Ejection fraction = X 100 EDV - SV = ESV (end-systolic volume) If ejection fraction is 0.5 or 50%, it means 50% of the EDV is pumped out as stroke volume; and remaining 50% is left behind as end-systolic volume (ESV). ESV given is 50 mL; so EDV would be 100 mL.